Which of the following is most cardio depressant
1. Halothane
2. Isoflurane
3. Sevoflurane
4. Desflurane

Correct answer: 1. Halothane

Explanation: Halothane is direct myocardial depressant, decreases SA node activity and decreases heart rate. Also sensitizes the heart to the arrhythmogenic effectsof epinephrine and hence is contraindicated in pheochromocytoma. Isoflurane , sevoflurane and desflurane at required MAC does not cause much cardiac depression. They dilate the blood vessels and decreases the mean arterial pressure .